Bilateral ovarian cancer with; capsule breached; ascites positive for malignant cells. Stage is;
1. l
2. ll
3. Ill
4. lV

Correct answer: 1. l

Explanation: Stage 1: tumor confined to ovaries or fallopian tubes. 1c: tumor limited to one or both ovaries. : Surgical spill : Capsule rupture before surgery or tumor on ovarian surface : Malignant cells present in ascites or peritoneal washings Reference : textbook of gynaecology Sheila balakrishnan, 2nd edition, pg no:277